Safe vaccine during pregnancy -
1. Measles
2. Hepatitis B
3. BCG
4. OPV

Correct answer: 2. Hepatitis B

Explanation: Ans. is 'b' i.e., Hepatitis Bo Important facts regarding different types of vaccine during pregnancy are:-1) Live vaccines: As a rule of thumb all live vaccines are contraindicated during pregnancy. Important ones are measles, mumps, rubella, varicella, BCG, OPV, and yellow fever.2) Inactivated (killed) viral vaccines: These are not contraindicated during pregnancy and vaccines given are influenza and hepatitis A & B. In case of rabies vaccination, information is very limited.3) Inactivated bacterial vaccines: These are not contraindicated in pregnancy. Vaccination against pneumococcus, meningococcus or typhoid show no confirmed side effects.4) Toxoids : These are safe during pregnancy, e.g. tetanus toxoid.5) Immunoglobulins : These are used for post-exposure prophylaxis, e.g. rabies, tetanus, hepatitis A & B, and varicella.